Iris bombe occurs is:
1. Ring synechiae
2. Anterior synechiae
3. Posterior synechiae
4. All

Correct answer: 1. Ring synechiae

Explanation: Ans. Ring synechiae